Which of the following is false about portal vein
1. Formed behind the neck of pancreas
2. Bile duct lies anterior and right to it
3. Gastroduodenal artery lies to the left and anterior
4. Ascends behind the 2nd part of duodenum

Correct answer: 4. Ascends behind the 2nd part of duodenum

Explanation: Portal vein ascends behind the 1st part, not the 2nd part of duodenum Portal vein Part Position Structure Infra duodenal part Anterior Posterior Neck of pancreas IVC Retro duodenal part Anterior Posterior Duod Supra duodenal part